All are true about patients with neuro fibromatosis except that they are prone for -
1. Gliomas
2. Retinoblastoma
3. Swachonoma
4. Meningioma

Correct answer: 2. Retinoblastoma